All of the following features are present in acrocyanosis except :
1. Tend to affect young female
2. Painless
3. Episodic
4. Accompained by chillbains

Correct answer: 3. Episodic

Explanation: Acrocyanosis Painless Not episodic. Tends to affect young women Mottled cyanosis of the fingers/toes Accompanied by paraesthesia and chilblains.